What is the net gain of ATPs when Palmitic acid undergoes complete oxidation?
1. 106 ATPs
2. 100 ATPs
3. 28 ATPs
4. 128 ATPs

Correct answer: 1. 106 ATPs

Explanation: Refer the byte "Beta Oxidation"